A normal child develops the ability to use 10 words with meaning at the age of –
1. 12 months
2. 15 months
3. 18 months
4. 24 months

Correct answer: 3. 18 months